The cadaveric position of vocal cords is
1. Midline
2. 1.5mm from midline
3. 3.5mm from midline
4. 7.5mm from midline

Correct answer: 3. 3.5mm from midline

Explanation: Positions of the vocal cord: 1. Median- cords touching the midline 2. Paramedian-1.5 mm from the midline 3. Intermediate (Cadaveric)- 3.5 mm from the midline 4. Slightly abducted- 7 mm 5. Fully abducted- 9 mm. Ref: Hazarika; 3rd ed; Pg 626